Lymph from glans penis drains into ?
1. Superficial inguinal nodes
2. Deep inguinal lymph nodes
3. Obturator nodes
4. Internal iliac nodes

Correct answer: 2. Deep inguinal lymph nodes

Explanation: Vessels from the glans penis drain into the deep inguinal lymph nodes (gland of Cloquet)From rest of the penis, lymph drains into the superficial inguinal lymph nodes.